Omalizumab is administered in bronchial asthma by which route ?
1. Oral
2. Intravenous
3. Subcutaneous
4. Aerosol

Correct answer: 3. Subcutaneous